65 year old patient comes with dysphagia and regurgitation. Barium swallow shows diverticula at lower oesophagus. Which of the following is false about this condition
1. Endoscopy is used to rule out malignancy
2. Chest x ray shows air fluid level in posterior mediastinum
3. It arises from killians triangle
4. Treatment is resection Plus myotomy

Correct answer: 3. It arises from killians triangle

Explanation: This is the case of epiphanic diverticulum. It is usually seen in lower oesophagus. It is confused with para esophageal hernia.